Wof is injectable COX-2 inhibitor
1. Celecoxib
2. Etoricoxib
3. Parecoxib
4. None of the above

Correct answer: 3. Parecoxib

Explanation: Parecoxib:- It is a prodrug of valdecoxib suitable for injection, and to be used in post- operative or similar short-term pain, with efficacy similar to ketorolac. Ref:- kd tripathi;pg num:-206